Not true about pituitary gland ?
1. Lies in sella turcica
2. Corticotrophs are acidophilic
3. ADH is secreted by posterior lobe
4. Anterior lobe is developed from Rathke's pouch

Correct answer: 2. Corticotrophs are acidophilic

Explanation: Ans. is'b'i.e., Corticotrophs are acidophilicPituitary gland is situated in sella turcica.Anterior pituitary develops from Rathke's pouch and posterior pituitary develops from infundibular process from diencephalon.Corticotroph are basophils.ADH is secreted from posterior pituitary.